Restriction endonuclease cleaves:
1. dsDNA
2. RNA
3. Histone
4. Protein

Correct answer: 1. dsDNA

Explanation: Ans: a. dsDNARestriction endonucleases (restriction enzymes), which cleave double-stranded (ds) DNA into smaller, more manageable fragments, has opened the way for DNA analysis"Restriction enzyme (RE or Restriction Endonuclease) is an enzyme that cleave double-stranded DNAQ at specific recognition nucleotide known as restriction sitesQThe cut DNA fragments by RE may have sticky ends (cohesive ends)deg or blunts endsdeg depending on the mechanism used by enzymeDNA fragments with sticky ends are particularly useful for recombinant DNA experiments (hybrid or chimeric DNA molecules)Restriction enzyme is named according to the organism from which it was isolated